True regarding the kidneys is
1. Each weighs about 340 grams
2. The left kidney lies below the transpyloric plane
3. The iliohypogastric and ilioinguinal nerves lie behind the posterior surface of the kidney
4. The hilum is separated from the peritoneum on the right side by the 3rd part of the duodenum

Correct answer: 3. The iliohypogastric and ilioinguinal nerves lie behind the posterior surface of the kidney

Explanation: The normal kidney weighs 130-150 g. The hilum of the right kidney lies just below, and of the left just above, the transpyloric plane 5 cm from the midline. Posteriorly the relations of both kidneys are similar, comprising mostly the diaphragm and quadrates lumborum muscles, with overlap medially on to psoas and laterally on to transversus abdominis. The upper pole lies on those fibres of the diaphragm which arise from the lateral and medial arcuate ligaments. A small triangular part of the costodiaphragmatic recess of the pleura lies behind the diaphragm and is an important posterior relation, which is at risk in the lumbar approach to the kidney. The subcostal vein, artery and nerve, on emerging from beneath the lateral arcuate ligament, lie behind the kidney, as do the iliohypogastric and ilioinguinal nerves as they emerge from the lateral border of psoas